Which of the following is false about salivary gland tumors :
1. Mucoepidermoid carcinoma is most common malignant tumor of salivary gland
2. Most common neoplasm of salivary gland in children is pleomorphic adenoma
3. Best imaging investigation for salivary gland neoplasms is MRI
4. Best diagnostic modality for parotid swelling is FNAC

Correct answer: 2. Most common neoplasm of salivary gland in children is pleomorphic adenoma

Explanation: - MC neoplasm of salivary gland: Pleomorphic adenoma - MC malignant tumor of salivary gland: Mucoepidermoid carcinoma - MC Neoplasm of salivary gland in children: Hemangioma - MC malignant tumor of salivary gland in children: Mucoepidermoid carcinoma - MC Malignant tumor of minor salivary glands:Adenoid cystic carcinoma - Best diagnostic modality for parotid swelling: FNAC - Open incisional biopsy is contraindicated due to tumor cell implantation and formation of parotid fistula - Best imaging investigation for salivary gland neoplasms: MRI